Which radiographic projection is most useful in examining stone of a submandibular duct
1. Cross-sectional occlusal
2. OPG
3. Lateral oblique
4. PA view of mandible

Correct answer: 1. Cross-sectional occlusal